In ICDAS — II, score 2 indicates?
1. First enamel visual change
2. Distinct enamel change
3. Microcavitation
4. Underlying dentin shadow

Correct answer: 2. Distinct enamel change